Role of egg lecithin in propofol formulation is?
1. Acts as emulsifying agent
2. Acts as preservative
3. Acts as carrier vehicle
4. Acts as antibacterial

Correct answer: 1. Acts as emulsifying agent

Explanation: Propofol is an insoluble drug that requires a lipid vehicle for emulsification. Current formulations of propofol use a soybean oil as the oil phase and egg lecithin as the emulsifying agent.